Not seen in Ludwig's angina
1. Glottal edema, may require tracheostomy
2. Aphthous ulcer in pharynx
3. It is caused by anaerobic organisms
4. Cellulitis in the floor of mouth

Correct answer: 2. Aphthous ulcer in pharynx

Explanation: Ludwig angina is a type of bacterial infection that occurs in the floor of the mouth, under the tongue. It often develops after an infection of the roots of the teeth (such as tooth abscess) or a mouth injury. This condition is uncommon in children. CLinical features: There is marked difficulty in swallowing (odynophagia) with varying degrees of trismus. When infection is localized to the sublingual space, structures in the floor of mouth are swollen and tongue seems to be pushed up and back. When infection spreads to submaxillary space, submental and submandibular regions become swollen and tender, and impart woody-hard feel. Usually, there is cellulitis of the tissues rather than frank abscess. Tongue is progressively pushed upwards and backwards threatening the airway. Laryngeal oedema may appear. Complications: 1.Spread of infection to parapharyngeal and retropharyngeal spaces and thence to the mediastinum. 2. Airway obstruction due to laryngeal oedema, or swelling and pushing back of the tongue. 3.Septicaemia. 4.Aspiration pneumonia. Ref - otolaryngology Dhingra 6E p263